Which of the following is not a co-factor for pyruvate dehydrogenase complex
1. Thiamine pyrophosphate
2. FAD
3. NAD
4. Biotin

Correct answer: 4. Biotin

Explanation: Cofactor for PDH complex are:
Thiamine pyrophosphate (Vit B1), FAD (Vit B2), NAD (Vit B3), CoA (Vit B5), Lipoic acid.